In radical neck dissection, which structure is not removed: March 2005, Marclz 2013 (a, e)
1. Cervical group of lymph nodes
2. Sternocleidomastoid muscle
3. Internal jugular vein
4. None of the above

Correct answer: 4. None of the above

Explanation: Ans. D: None of the above The radical neck dissection (RND) is defined as removing all of the lymphatic tissue in regions I-V including removal of the spinal accessory nerve, (SAN), sternocleidomastoid muscle (SCM), and internal jugular vein (IJV). It does not include removal of the suboccipital nodes, periparotid nodes except for infraparotid nodes located in the posterior aspect of the submandibular triangle, buccal nodes, retropharyngeal nodes, or paratracheal nodes. Modified Radical Neck Dissection (MRND) - removal of all lymph node groups routinely removed in a RND, but with preservation of one or more nonlymphatic structures (SAN, SCM and IJV). Selective Neck Dissection (SND) (together with the use of parentheses to denote the levels or sublevels removed) - cervical lymphadenectomy with preservation of one or more lymph node groups that are routinely removed in a RND. Thus for oral cavity cancers, SND (I-III) is commonly performed. For oropharyngeal, hypopharyngeal and laryngeal cancers, SND (II-IV) is the procedure of choice. Extended Neck Dissection - This refers to removal of one or more additional lymph node groups or nonlymphatic structures, or both, not encompassed by the RND